The following statements about Bupivacaine are true except :
1. Must never be injected into a vein
2. More cardiotoxic than lignocaine
3. 0.5 percent is effective for sensory block
4. It produces methaemoglobinemia

Correct answer: 4. It produces methaemoglobinemia